Which of the following laryngeal muscles constitute tensors of vocal cord?
1. Posterior cricothyroid, internal interarytenoid
2. Lateral cricothyroid, internal interarytenoid
3. Thyroarytenoid, internal interarytenoid
4. Cricothyroid and internal thyroarytenoid

Correct answer: 4. Cricothyroid and internal thyroarytenoid

Explanation: Cricothyroid and internal part of thyroarytenoid (vocalis) together constitute tensors of vocal cord. Intrinsic muscles acting on vocal cords: * Abductors: Posterior cricoarytenoid * Adductors: Lateral cricoarytenoid, Interarytenoid (transverse arytenoid), Thyroarytenoid (external part) * Tensors: Cricothyroid, Vocalis (internal part of thyroarytenoid) Intrinsic muscles acting on laryngeal inlet: * Openers of laryngeal inlet: Thyroepiglottic (part of thyroarytenoid) * Closers of laryngeal inlet: Interarytenoid (oblique part), Aryepiglottic (posterior oblique part of interarytenoids)